Most common life threatening complication of measles is:
1. Croup
2. Meningoencephalitis
3. Otitis media
4. Pneumonia

Correct answer: 4. Pneumonia

Explanation: 1. Measles: (RUBEOLA)- Incubation period varies from 8 to 12 days. Measles is a highly contagious febrile illness. 2. Complications of measles: Complications include otitis media, bronchopneumonia, laryngotracheobronchitis (croup), and diarrhea. Bronchopneumonia is the most serious condition and is responsible for > 60% of deaths caused by measles virus. CNS complications of measles are: Postmeasles encephalomyelitis Measles inclusion body encephalitis (MIBE) Subacute sclerosing panencepthalitis (SSPE): It is a chronic degenerative complication of measles. Encephalitis is a degenerative complication and occurs approximately in one of every 1000 patients. Measles causes death mostly in children younger than 5 years. It develops within 2 weeks of onset of rash. It represents an autoimmunity response against the myelin basic protein.